Obstruction in pulmonary stenosis may occur at the following sites ___________
1. Supravalvular
2. Valvular
3. Subvalvular
4. All of the above

Correct answer: 4. All of the above

Explanation: In PS obstruction can be supravalvular,valvular, subvalvular. Ref : Ghai essential of pediatrics eighth edition, p.no:433